Fetal hemoglobin has more affinity for oxygen than adult hemoglobin because ?
1. Decreased 2,3 DPG concentration
2. Low affinity for 2,3 DPG
3. Increase 2,3 DPG concentration
4. Reduced pH

Correct answer: 2. Low affinity for 2,3 DPG

Explanation: Ans. is 'b' i.e., Low affinity for 2,3 DPG Make it very clear in mind that higher affinity of fetal hemoglobin for oxygen is due to low affinity of HbF for 2,3DPG (not due to decreased 2, 3-DPG concentration). HbF does not combines to 2, 3-DPG as avidly as adult hemoglobin.